Severity of acute disease can be best analyzed by?
1. Standardized mortality ratio
2. Cause specific death rate
3. Case fatality rate
4. Age specific death rate

Correct answer: 3. Case fatality rate

Explanation: Case fatality rate represents the killing power of a disease. Typically used for acute diseases like food poisoning, cholera, measles. it is simply the ratio of deaths to cases. ref: Park's 23rd edition pg 58.